Regarding nitric oxide false is
1. Derived from endothelium
2. Acts by increasing c–AMP levels
3. Vasodilator
4. Derived from arginine

Correct answer: 2. Acts by increasing c–AMP levels

Explanation: Nitric oxide is formed from Arginine, released from endothelial cells and acts through cGMP to cause vasodilation.